Cafe-au-lait spots on the skin are characteristic of
1. Addision's disease
2. Peutz-Jeghers syndrome
3. Von recklinghausen disease
4. Hyper pituitarism

Correct answer: 3. Von recklinghausen disease